The best suited anticogulant for osmotic fragility test is -
1. Heparin
2. EDTA
3. Trisodium citrate
4. Potassium oxalate

Correct answer: 1. Heparin

Explanation: Ans. is 'a' i.e., Heparin